Thyroglossal cyst is most often Located:
1. Near hyoid bone
2. At the base of tongue
3. Sub mandibular
4. Opposite cricoid cartilage

Correct answer: 1. Near hyoid bone